What is the treatment for Cardiac tamponade -
1. Immediate anticoagulation
2. Emergency subxiphoid percutaneous drainage
3. Transesophageal pericardiocentesis
4. Stabilize and observe

Correct answer: 2. Emergency subxiphoid percutaneous drainage

Explanation: Answer- B. Emergency subxiphoid percutaneous drainageEmergency subxiphoid percutaneous drainage -This is a life-saving bedside procedure. The subxiphoid approach is erapleural; hence, it is the safest for blind pericardiocentesis. A 16- or l8-gauge needle is inserted at an angle of 3O-45 degree to the skin, near the left xiphocostal angle, aiming towards the left shoulder. When performed emergently, this procedure is associated with a reported mortality rate of approximately 4% and a complication rate of l7%.